Mechanism of action of apixaban is:-
1. Inhibition of factor Xa
2. Inhibition of thrombin
3. Stimulation of antithrombin
4. Vitamin K antagonism

Correct answer: 1. Inhibition of factor Xa

Explanation: Apixaban is factor XA blocker. Other XA blockers are:(-xaban) * Rivaroxaban * Edoxaban * Batrixaban Indirect thrombin inhibitor like heparin act by stimulating anti-thrombin 3. Vitamin K antagonists are warfarin, acenocoumarin, bis-hydroxycoumarin.